All are metabolized by acetylation, EXCEPT
1. Hydralazine
2. INH
3. Procainamide
4. Chlorpromazine

Correct answer: 4. Chlorpromazine

Explanation: Ans. is 'd' i.e., Chlorpromazine Drugs undergoing Acetylation-SulfonamidesIsoniazidPASHydralazineProcainamideAlso knowDrugs undergoing glucuronide conjugationChloramphenicolAspirinPhenacetinMorphineMetronidazoleDrugs undergoing Glycine conjugationSalicylates andOther drugs with Carboxyl groupDrugs undergoing Glutathione conjugationParacetamol